The sensory receptors serving the stretch reflex are classified as:
1. Proprioceptors
2. Nociceptors
3. Exteroceptors
4. Chem receptors

Correct answer: 1. Proprioceptors